A 35 year old is given excessive intravenous Benzodiazepine.She suddenly becomes agitated, combative, and exhibits involuntary movements. The anesthesiologist determines that she is having a reaction to the drug which has been given in excess. Next step would be adminstration of:
1. Protamine
2. Flumazenil
3. Buprenorphine
4. Morphine

Correct answer: 2. Flumazenil

Explanation: Flumazenil